Drug of choice for treatment of leptospirosis is:
1. Penicillin
2. Ampicillin
3. Tetracycline
4. Doxycycline

Correct answer: 1. Penicillin

Explanation: Penicillin is the drug of choice for treatment of leptospirosis. Other drugs used are tetracycline and doxycycline. Ref: Park 21st edition, page 267.